Homonymous hemianopia type of visual Held defect is seen in all except -
1. Lateral geniculate body
2. Total optic radiation
3. Optic tract
4. Optic chaisma

Correct answer: 4. Optic chaisma

Explanation: Ans. 'd' i.e., Optic chiasma o Characteristic visual field defect of the central chiasmatic lesion is bitemporal hemianopia. Pituitary tumor causes a central chiasmatic lesion. o Bitemporal hemianopia results due to central (sagittal) lesion of the optic chiasma. common causes of which are tumors of the pituitary gland (most common), craniopharyngioma, suprasellar meningioma, glioma of the third ventricle, chiasmal arachnoiditis, and third ventricular dilatation. The site of lesion Visual field defect Optic nerve Optic chiasma Optic tract Lateral geniculate body Optic radiation (Total) Optic radiation lower fibers (temporal lobe) Optic radiation upper fibres (parietal lobe) Visual cortex (anterior occipital cortex) Occipital cortex tip Blindness Bitemporal hemianopia Incongruent homonymous hemianopia Homonymous hemianopia Homonymous hemianopia, sometimes with macular sparing Homonymous upper quadrantanopia Homonymous lower quadrantanopia Homonymous hemianopia with macular sparing Homonymous macular defect